All the following muscles are innervated by the facial nerve except
1. Occipito-frontalis
2. Anterior belly of digastric
3. Risorius
4. Procerus

Correct answer: 2. Anterior belly of digastric

Explanation: B. i.e. Anterior belly of digastric